Mycetoma foot can be caused by all the following except
1. Cladosporium
2. Exophiala jeanselmei
3. Madurella mycetoma
4. Allescheria boydii

Correct answer: 1. Cladosporium

Explanation: Cladosporium causes Tinea nigra. Ref: Textbook of Microbiology, Ananthanarayan and Paniker; 9th edition